KOH wet mount can be prepared for?
1. Bacteria
2. Virus
3. Fungus
4. Parasite

Correct answer: 3. Fungus

Explanation: Potassium hydroxide (KOH) preparation is used for the rapid detection of fungal elements in clinical specimen Tissue specimens such as skin scrapings and hair are generally examined as wet mounts after treatment with 10% KOH for 10-30 mins. 40% KOH is used for nail specimens. KOH (strong alkali) softens, digests and clears the tissues (e.g., keratin present in skins) surrounding the fungi so that the hyphae and conidia (spores) of fungi can be seen under microscope.